Cyst which develops from Rests of Serres is:
1. Residual cyst
2. Odontogenic keratocyst
3. Dentigerous cyst
4. Radicular cyst

Correct answer: 2. Odontogenic keratocyst

Explanation: Rests of Serres (Dental lamina)

OKC
Lateral periodontal cyst
Glandular odontogenic cyst
Gingival cyst of infants and adults